Non depolarizing blocking agent among the following is -
1. Suxamethonium
2. Decamethonium
3. Pancuronium
4. Beclofen

Correct answer: 3. Pancuronium

Explanation: Ans. is 'c' i.e., Pancuronium o Pancuronium is a long acting Nondepolarizing blocker.o Suxamethonium and decamethonium are depolarizing muscle relaxants whereas beclofen is a centrally acting agent.Nondepolarizing (competitive) blockersa) Long acting - d. tubocurarine, Pancuronium, (> 50 min) Doxacurium, Pipecuroniumb) Intermediate - Vecuronium, Atracurium, acting cisatracurium, Rocuronium (20-50 min)c) Short acting - Mivacurium, Rapacuronium (< 20 min)